Agent causing hemorrhagic cystitis
1. Cyclophosphamide
2. Vincristine
3. Cisplatin
4. 5 Fluorouracil

Correct answer: 1. Cyclophosphamide

Explanation: Ans: a (Cyclophosphamide)Ref: KD Tripathi, 6th ed. Pg. 822Haemorrhagic cystitis is caused by a metabolite of cyclophosphamide - acrolein If severe, the cystitis may be effectively treated by mesna.Drugs causing Haemorrhagic cystitisIfosfamide Cyclophosphamide Aniline or toluidine derivatives Penicillins - rare Danazol - rare Ifosfamide is the most common cause of haemorrhagic cystitis.